Advantage of digital radiography is/are:
1. Direct display of the image
2. Less patient exposure
3. Elimination of the need of dark room
4. All of the above

Correct answer: 4. All of the above

Explanation: Digital Radiography: